Hyaline membrane is seen in:
1. Acute glomerulonephritis
2. Respiratory distress syndrome
3. Pneumonia
4. Cholestatic jaundice

Correct answer: 2. Respiratory distress syndrome

Explanation: Ans. B: Respiratory distress syndrome A homogenous eosinophilic membrane (hyaline membrane) plastering the alveolar ducts and terminal bronchioles is found in idiopathic respiratory distress syndrome HMD/ Hyaline membrane disease: Most babies with HMD shows clinical findings of respiratory distress in the delivery room or during the first few hours of life Hyaline membrane is made up of fibrin Seen in diabeteics mothers and premature babies X-ray shows a reticulogranular/ reticulo-nodular pattern or ground glass appearance, uniformly distributed throughout both lungs fields